Inferoposterior wall myocardial infarction will show changes in the following leads except -
1. Standard lead II and III
2. Lead aVF
3. Chest Lead VI and V2
4. Chest Lead V5 and V6

Correct answer: 4. Chest Lead V5 and V6

Explanation: Ans. is 'd' i.e., Chest Lead V5 and V6Anterior wall myocardial infarction subdivided intoType of M.LLeads involvedExtensive anterior wall M.L* Standard lead I* Lead AVL and* All precordial leads (VI- V6)An anteroseptal wall M.L* Leads VI to V4An antero lateral wall M.L* Standard lead /, lead AVL and* Leads V4 to V6Apical wall M.L* VS - V6Inferior wall M.L* Standard leads II and III* Lead AVFInferoposterior wall M.L* Standard lead II, III* Lead V1-V2Inferolateral wall M.L* Standard lead II, III* Lead AVF* V5-V6Also know,Posterior wall M.L* There is no conventional electrode which is oriented directly to the posterior wall of the heart. This, because an electrode so oriented would have too much tissue (bone and muscle) between it and the heart, thereby attenuating and even distorting the electrocardiogram.